Calcium hydroxide is advocated as an inter appointment intracanal medication because of
1. Its ability to dissolve necrotic tissue
2. Its antimicrobial property
3. Its ability to stimulate hard tissue formation
4. Its powerful bleaching effect

Correct answer: 2. Its antimicrobial property